All of the following are part of the ASEPSIS wound grading except ?
1. serous discharge
2. purulent exudate
3. Induration
4. Erythema

Correct answer: 3. Induration

Explanation: REF : BAILEY AND LOVE 27TH ED.